A 63-year-old woman discovers a lump in her right breast. Mammography confirms the presence of a suspicious "lump," and a needle core biopsy is performed to determine whether the mass is malignant. The pathology report confirms that the mass is indeed cancerous and that the tissue demonstrates amplification of the Her-2/neu oncogene. The gene product of Her-2/neu is what kind of protein?
1. GTPase
2. GTPase-activating protein
3. Nuclear transcription factor
4. Receptor tyrosine kinase

Correct answer: 4. Receptor tyrosine kinase

Explanation: Her-2/neu, also known as c-erbb2, is a receptor tyrosine kinase related to epidermal growth factor receptor and is amplified at the DNA level and overexpressed at the protein level in some breast cancers. -Ras is a GTPase that is mutated in a number of cancers. -NF-1 is a GTPase-activating protein (GAP) aberrantly expressed in neurofibromatosis.